Tear drop bladder is seen in –
1. Pelvic abscess
2. Pelvic lipomatosis
3. Bladder rupture
4. All

Correct answer: 4. All

Explanation: Tear - drop bladder can be seen in pelvic lipomatosis, pelvic abscess, pelvic lymphadenopathy, pelvic hematomas, and intraperitoneal bladder rupture.